Correlation in height & weight are measured by?
1. Coefficient of variation
2. Range of variation
3. Correlation coefficient
4. None

Correct answer: 3. Correlation coefficient

Explanation: Ans. is 'c' i.e., Correlation Coefficient